Ring scotoma is a feature of –
1. Blue dot cataract
2. Diabetic retinopathy
3. Nuclear cataract
4. Retinitis pigmentosa

Correct answer: 4. Retinitis pigmentosa